Hemorrhagic fever is caused by-
1. West-Nile fever
2. Sandfly fever
3. Ebola virus
4. All of the above

Correct answer: 3. Ebola virus